Acute dilatation of stomach is not managed by ?
1. N/G tube aspiration
2. Stop oral feeds
3. Surgery
4. Fluid and electrolyte balance

Correct answer: 3. Surgery

Explanation: Ans is 'c' ie surgery Acute dilatation of stomach is usually seen in association with pyloroduodenal disorders or post surgery without nasogastric suction. The stomach is atonic and dilates enormously. Often the patient is also dehydrated and has electrolyte disturbances. Failure to treat this condition can lead to sudden massive vomiting with aspiration. Treatment nasogstric suction correction of fluid-electrolyte balance t/t of underlying condition.